Chlamydia does not cause -
1. Q fever
2. Non gonococcal urethritis
3. Trachoma
4. Salpingitis

Correct answer: 1. Q fever